A young boy has a single scaly, hypo anaesthetic patch over Hand plus thickened ulnar nerve, diagnosis is:
1. Tuberculoid leprosy
2. Lepromatous leprosy
3. Indeterminate
4. Borderline

Correct answer: 1. Tuberculoid leprosy

Explanation: Tuberculoid leprosy